Fleischer's ring is seen in;
1. Keratoconus
2. Keratomalacia
3. Keratoglobus
4. Trachoma

Correct answer: 1. Keratoconus

Explanation: KERATOCONUS Non -Inflammatory central corneal thinning Young male with constantly changing power of glasses with myopia & high cylinder SIGNS IN KERATOCONUS Munson sign. Scissor reflex on retinoscopy (Earliest Clinical Sign) Enlarged corneal nerves-lower lid indentation on downgaze. Oil droplet reflex. Rizutti's sign Acute Hydrops - aqueous accumulated in stroma Fleischer ring-Paial or complete iron deposition ring in deep epithelium encircling the base of the cone. Characteristic in eyes with keratoconus.